Sudden increase in blood sugar in a diabetic causes
1. Myopia
2. Hypermetropia
3. Presbyopia
4. Anisometropia

Correct answer: 1. Myopia

Explanation: Ans. Myopia